A driver wearing seat belt applied brake suddenly to avoid accident. Most common organ injured in seat belt injury:-
1. Liver
2. Spleen
3. Mesentery
4. Abdominal aorta

Correct answer: 3. Mesentery

Explanation: SEAT BELT INJURY Use of seat belt is associated with injury profile known as seat belt syndrome MC injured structure: MesenteryQ Classic seat belt sign: Skin abrasion of neck, chest & abdomenQ Caused by sudden deceleration - Mesentery tearQ May compress pancreas over vertebral column - Pancreaticoduodenal injuryQ